In drug metabolism, hepatic cytochrome P–450 system is responsible for:
1. Phase I reactions (hydrolysis, oxidation, reduction etc.) only
2. Phase II reactions (conjugation, synthesis etc.) only
3. Both phase I and II reactions
4. Converting hydrophilic metabolites to lipophilic metabolites

Correct answer: 1. Phase I reactions (hydrolysis, oxidation, reduction etc.) only